Ribonuclease-P is
1. Ligase
2. Lyase
3. Ribozyme
4. Hydrolase

Correct answer: 3. Ribozyme

Explanation: Ribonuclease P (EC 3.1.26.5, RNase P) is a type of ribonuclease which cleaves RNA. RNase P is unique from other RNases in that it is a ribozyme - a ribonucleic acid that acts as a catalyst in the same way that a protein-based enzyme would. Its function is to cleave off an extra, or precursor, sequence of RNA on tRNA molecules. Ref-Sathyanarayana 4/e p403